Electron microscopic feature of minimal change disease is?
1. No change seen
2. Loss of foot process of podocytes
3. Diffuse glomerulosclerosis
4. Thickened basement membrane

Correct answer: 2. Loss of foot process of podocytes

Explanation: Ans. b (Loss of foot process of podocytes). (Robbin, Pathology, 8th ed., 543)Minimal-Change Disease (Lipoid Nephrosis)# This relatively benign disorder is the most frequent cause of the nephrotic syndrome in children.# It is characterized by glomeruli that have a normal appearance by light microscopy but show diffuse effacement of podocyte foot processes when viewed with the electron microscope.# Although it may develop at any age, this condition is most common between ages 1 and 7 years.# When the changes in the podocytes reverse (e.g., in response to corticosteroids), the proteinuria remits.